Scarpa's Staphyloma is seen in
1. Retinal Detachment
2. Myopia
3. Glaucoma
4. Iridocyclitis

Correct answer: 2. Myopia

Explanation: Ans. (b) MyopiaRef: Clinical ophthalmology By Sandeep Saxena 2/e, p. 445'The presence of posterior staphyloma (Scarpa's Staphyloma) is pathognomonic of pathologic myopia'